Quinidine exerts its action on heart by:
1. Ca2+ channel blockade
2. Na+ channel blockade
3. K+ channel opening
4. Cl– channel opening

Correct answer: 2. Na+ channel blockade